Most common site of ectopic pancreatic tissue
1. Stomach
2. Jejunam
3. Appendix
4. Hilum of spleen

Correct answer: 1. Stomach

Explanation: Accessory pancreatic tissue found in stomach duodenum or mechel's diverticulam.